A 50 year old man came to the neurology OPD with chief complaints of ataxia and abnormal eye movements. On examination, vertical gaze palsy is seen. A MRI was performed . What is the possible diagnosis?
1. Multiple system atrophy-Cerebellar type
2. Parkinsonism
3. Cerebellar ataxia
4. Progressive supra-nuclear palsy

Correct answer: 4. Progressive supra-nuclear palsy

Explanation: HUMMING BIRD SIGN and MICKEY MOUSE SIGN are features of Progressive supranuclear palsy. Figure showing Humming bird sign in Progressive supranuclear palsy. Figure showing Mickey-Mouse sign in Progressive supranuclear palsy.